Heart disease in pregnancy, most common -
1. ASD
2. MS
3. VSD
4. MR

Correct answer: 2. MS

Explanation: Ans. is 'b' i.e., MS "Commonest cardiac lesions are of rheumatic origin followed by congenital ones.""Rheumatic valvular leasion predominantly includes mitral stenosis (MS) "